Not a live vaccine
1. BCG vaccine
2. Salk vaccine
3. Measles vaccine
4. Yellow fever vaccine

Correct answer: 2. Salk vaccine

Explanation: Preparation of salk vaccine Virus is grown in monkey kidney cells and inactivated by formalin. Each dose of vaccine contains total 80 units of D antigen of all the three poliovirus serotypes. schedule 4 doses 1st 3 doses with 1-2 months gap, 4th booster dose is given 6-12 months after the 3rd dose.